Pulse proteins are poor in?
1. Methionine
2. Lysine
3. Threonine
4. Alanine

Correct answer: 1. Methionine

Explanation: Pulses Contain 20-25% proteins. In regard to quality, pulse proteins are inferior to animal proteins . Pulse proteins are rich in lysine but poor in methionine and cysteine. Soyabean is exceptionally rich in protein .Pulses are rich in minerals and B group vitamins such as riboflavin and thiamine. In dry state, pulses donot contain vitamin C. Germinating pulses, however contain high concentration of vitamins , especially C and B. Fermentation also modifies the nutritive value of pulses in that the vitamin content is enhanced especially, riboflavin, thiamine and niacin. {Reference: Park's textbook of community medicine 23 rd edition, pg no. 628}